Regarding pulmonary function test all are TRUE, EXCEPT
1. Total lung volume increases in emphysema
2. Compliance decreases in interstitial lung disease
3. Compliance is total lung distensibility
4. FEV1 is forced expiratory rate at one minute

Correct answer: 4. FEV1 is forced expiratory rate at one minute

Explanation: Changes in lung function tests in obstructive lung diseases- Eg: Emphysema
TLC- Increase
RV- Increase
FRC- Increase
Peak expiratory flow rate- Decrease
FEV1- Decreased out of proportion to FVC (Forced vital capacity)
Forced expiratory vital capacity (FEVC)- Normal to slightly decreased
FEV1/FEVC- Decreased (May decrease as low as 20-30%)
 Changes in lung function tests in restrictive lung diseases
TLC- Decreased
RV- Decreased
FRC- Decreased
Forced mid expiratory flow rate- Decrease
FEV1- Decreased in proportion to FVC (Forced vital capacity)
Forced vital capacity (FVC)- Decreased 
FEV1/FEVC- Near normal or increased.
Lung compliance- decreased
Diffusion capacity- decreased
FEV1- Forced expiratory volume in 1 second.